Most common site of Curling's ulcer
1. Ileum
2. Stomach
3. Duodenum
4. Esophagus

Correct answer: 3. Duodenum

Explanation: Duodenum [Ref Robbins 7/e p819; Curling's ulcer is acute peptic ulcer of the duodenum described in 1842 by Curling as a complication of burns. Cushing's ulcer is acute peptic ulcer of stomach, duodenum and esophagus seen in intracranial injury, operations or tumor.